Stag horn calculi associated with Proteus infection are?
1. Uric acid stones
2. Triple phosphate stones
3. Calcium oxalate stones
4. Cysteine stones

Correct answer: 2. Triple phosphate stones

Explanation: Triple phosphate or struvite ( Calcium phosphate with ammonium magnesium phosphate ) is smooth and dirty white. It grows in alkaline urine, especially when urea splitting organisms like proteus are present and break urea to ammonia and co2 and make urine alkaline. they enlarge to fill most of the collecting system forming a staghorn calculus. Reference : Bailey and Love's short practice of surgery 27th edition , chapter 76 , pg no 1406